Bone age is best estimated by
1. History from the patient
2. X-ray of the teeth
3. Heredity
4. X-ray of the wrist

Correct answer: 4. X-ray of the wrist